Which among the following muscles receives Dual Nerve supply?
1. Flexor digitorum profundus
2. Flexor digitorum superficialis
3. Palmaris longus
4. Extensor carpi radialis

Correct answer: 1. Flexor digitorum profundus

Explanation: Ans. A Flexor digitorum profundusRef: Gray's, 41st ed. pg. 851* Composite or hybrid muscles are those muscles which have more than one set of fibers but perform the same function and are usually supplied by different nerves for different set of fibers* The muscles of the anterior compartment are innervated mostly by the median nerve, but one and a half muscles are innervated by the ulnar nerve which are FLEXOR CARPI ULNARIS and HALF OFFLEXOR DIGITORUM PROFUNDUS.OTHER HYBRID/COMPOSITE MUSCLES* Adductor magnus: Adductor part is innervated by OBTURATOR NERVE whereas the Hamstring part is innervated by SCIATIC NERVE* Biceps femoris: Its long head is supplied by the TIBIAE BRANCH OF SCIATIC NERVE whereas the short head is supplied by the COMMON PERONEAL NERVE. This reflects the composite derivation from the flexor and extensor musculature.* Pectineusdts anterior set of fibers are supplied by the femoral nerve, whereas posterior set of fibers are supplied by the obturator nerve.* Iliopsoas: It is a composite muscle performing flexion at the hip.